While doing a neurosurgery, the paracentral lobule was accidentally damaged. It will lead to which of the following
1. Hemiplegia
2. Monoplegia
3. Involvement of the perineum and lower limbs
4. Quadriplegia

Correct answer: 3. Involvement of the perineum and lower limbs

Explanation: The paracentral lobule when damaged, may affect the lower limb and genitalia.